Which of the following is TRUE about manic-depressive psychosis?
1. Cyclothymic disorder consists of mania and less severe episodes of depression
2. Psychosocial stressors have no influence on manic episodes
3. Hyperthyroidism causes rapid-cycling bipolar disorder in females
4. Mood disorders often have seasonal patterns

Correct answer: 4. Mood disorders often have seasonal patterns

Explanation: Mood disorders often have seasonal patterns. Acute episodes of depression are common in spring and fall, whereas mania appears to cluster in the summer months. Suicide rates also show a peak in the spring and a (smaller) peak in the late fall. Higher rates of hypothyroidism, greater use of antidepressant medication, and changes in reproductive status and gonadal steroids may account for the greater prevalence of rapid-cycling bipolar disorder among women. Cyclothymic disorder consists of hypomania and less severe episodes of depression. Manic episodes typically begin suddenly, with a rapid escalation of symptoms over a few days, often, they are triggered by psychosocial stressors. Ref: Loosen P.T., Shelton R.C. (2008). Chapter 18. Mood Disorders. In M.H. Ebert, P.T. Loosen, B. Nurcombe, J.F. Leckman (Eds), CURRENT Diagnosis & Treatment: Psychiatry, 2e.